Differential cyanosis is seen in -
1. ASD
2. VSD
3. PDA
4. All of the above

Correct answer: 3. PDA